The presence of which of the following factors in
viruses makes protective vaccines a possibility?
1. Enzymes
2. Protein coat
3. Polysaccharide
4. Lipids

Correct answer: 2. Protein coat